Leber hereditary optic neuropathy ELHUNI is caused by mutation in
1. Mitochondrial DNA
2. Nuclear DNA
3. Non-coding DNA
4. DNA dependent ribonucleosomes

Correct answer: 1. Mitochondrial DNA

Explanation: Answer- A. Mitochondrial DNAMitochondrial DNA is the only non-chromosomal DNA in human cells. Mitochondrial DNA is always maternally inherited.Thus diseases caused by mutation in mitochondrial DNA are always inherited from mother to next generation.All children from affected mother will inherit the disease but it will not be tranmtitted from an affected father to his children